In which of the following conditions, anti-muscarinic drugs are to be avoided
1. Glaucoma
2. Asthma
3. Peptic ulcer
4. Stress incontinence

Correct answer: 1. Glaucoma

Explanation: Ref: HL Sharma 3rd ed pg no:139 Mydriasis is seen in glaucoma causing increased IOP Antimuscarinics like atropine also increase IOP. so they are contraindicated cholinergic drugs like physostigmine can be used